A patient developed arthritis, skin rash and abdominal colic following an episode of upper respiratory tract infection. She passed bright colored urine which, upon microscopic examination, showed numerous red blood cells. Immunofluorescence study of this patient's kidney biopsy will reveal glomerular deposition of which of the following types of immunoglobulin?
1. IgA
2. IgD
3. IgE
4. IgG

Correct answer: 1. IgA

Explanation: IgA nephropathy may occur following an episode of mucus membrane infection of the respiratory or gastrointestinal tract. Genetically susceptible individuals show increased amounts of IgA production following a viral or bacterial infection of the mucous membrane. Circulating IgA containing immune complexes are formed which later are deposited in the mesangium of the glomeruli of the kidney resulting in glomerulopathy. Ref: Diseases of the Kidney & Urinary Tract: Edited by Robert W. Schrier, Volume 1, Page 1544